Risk factor for pre-eclampsia:
1. Thin built
2. Smoking
3. Primigravida
4. Placenta previa

Correct answer: 3. Primigravida

Explanation: Primigravida / primipara is the risk factor for pre-eclampsia Risk factors for development of pre eclampsia Primigravida Age > 35 years Prior still birth Assisted Reproductive techniques BMI> 30 Multifetal gestation Prior abruption Prior pre eclampsia Diabetes, chronic hypertension, chronic kidney disease SLE APLA